Takayam test is used for?
1. To know the nature of stain
2. To know the species
3. For blood grouping
4. None of the above

Correct answer: 1. To know the nature of stain

Explanation: Ans. is 'a' i.e. To know the nature of stain o It is a microchemical test to know the nature of stain.Microchemical tests: These tests are based on property of haem part of hemoglobin to form characteristic coloured crystals.1) Teichmann's haemin crystal test2) Takayama hemochromogen crystal test3) Luminal spray test: It is especially useful in old obscure blood stains